The parotid duct can be palpated when -
1. Angle of the mandible is depressed
2. Anterior margin of the masseter is tensed
3. Posterior margin of the masseter is relaxed
4. Through the buccal mucosa

Correct answer: 2. Anterior margin of the masseter is tensed

Explanation: Parotid duct can be palpated at tense anterior margin of masseter muscle.